Which test is given positive by Glyceraldehyde?
1. Benedicts test
2. Molisch's test
3. Seliwanoff's test
4. Gerhard's test

Correct answer: 1. Benedicts test

Explanation: Ans. A. Benedicts testGlyceraldehyde is a monosaccharide. All monosaccharides are reducing sugars. All reducing sugars gives positive Benedict's test.Molisch's test is a general test for all the carbohydrate but it is positive if number of carbons are 5 or more. Glyceraldehyde contains only 3 carbons.Seliwanoff's test is positive for keto sugars. Glyceraldehyde is an aldehyde.Gerhard's test & Rothera's test are positive for ketone bodies.